A 24 years old farmworker is rushed to a nearby emergency department after accidental exposure to parathion. Which of the following drugs can be given to increase the activity of his anticholinesterases
1. Atropine
2. Dimercaprol
3. Physostigmine
4. Pralidoxime

Correct answer: 4. Pralidoxime

Explanation: Refer kDT 7/e p 111 Pralidoxime or 2-PAM, usually as the chloride or iodide salts, belongs to a family of compounds called oximes that bind to organophosphate-inactivated acetylcholinesterase. It is used to treat organophosphate poisoning in conjunction with atropine and diazepam. It is a white solid.